Which of the following condition is characterized by presence of hyaline deposits in alveolar walls?
1. Interstitial lung disease
2. Asthma
3. Hyaline membrane disease
4. Chronic bronchitis

Correct answer: 3. Hyaline membrane disease

Explanation: Ref: Robbins 9th ed. P 672The immature lungs in hyaline membrane disease show eosinophilic hyaline membranes in alveoli, alveolar ducts and terminal bronchioles.The membranes contain necrotic epithelial cells admixed with extravasated plasma proteins.